In Euthansasia, irreversible calmatose patients, withdrawing life sustaining medical treatment is called
1. Voluntary active euthanasia
2. Non voluntary active euthanasia
3. Involuntary active euthanasia
4. Passive euthanasia

Correct answer: 4. Passive euthanasia

Explanation: (Passive euthanasia) (64-H 16th) (77-78-H17th)Definitions of assisted suicide and euthanasia1 Voluntary active euthanasiaIntenationally administering medications or other interventions to cause the patients death with the patients informed consent2 Involuntary active euthanasiaIntentionally administering medications or other interventions to cause the patients death when the patient was competent to consent but did not e.g. the patient may not have been asked3 Nonvoluntary active euthanasiaIntentionally administering medications or other interventions to cause the patients death when the patient was incompetent and was mentally incapable of consenting e.g. the patient might have been in a coma4 Passive euthanasiaWith holding or withdrawing life sustaining medical treatments from a patient to let him or her die (terminating life sustaining treatments)5 Indirect euthanasiaAdministrating opioids or other medications to relieve pain, dyspnea or other symptoms with the incidental consequence of causing sufficient respiratory depression to result in the patients death6 Physician-assistedA physician provides medications or other interventions to a patient with thesuicideunderstanding that the patient can use them to commit suicide.